Most peripheral laboratory under RNTCP
1. Peripheral Reference laboratory
2. Designated microscopy centre
3. Tuberculosis unit
4. Intermediate Reference laboratory

Correct answer: 2. Designated microscopy centre